True about bell's curve is -
1. It skewed to the left
2. Has mean =1[?]0
3. Has standard deviation = 0[?]0
4. Has variance =1[?]0

Correct answer: 4. Has variance =1[?]0

Explanation: Ans. is 'd' i.e., Has variance =1.0 Standard normal curve (Bell curve or Gaussian distribution) has been explained in previous sessions.